Among the following the primary indication of sentinel lymph node biopsy -
1. Metastasis
2. Breast lump with palpable axillary lymphnode
3. Breast lump without palpable axillary lymph node
4. None

Correct answer: 3. Breast lump without palpable axillary lymph node

Explanation: Ans. is 'c' i.e., Breast lump without palpable axillary lymph node Management of axillary lymph nodes in CA Breast* Earlier dissection of axillary lymph nodes (level I and II) was performed to assess the lymph node status (i.e. presence or absence of occult metastasis)* Now Sentinel lymph node biopsy is considered the standard for evaluation of the axillary lymph nodes for metastasis in women who have clinically negative lymph nodes, (the sentinel lymph node is the first regional lymph node to receive tumor cells that metastasize along the lymphatic pathway from the primary breast cancer)* Axillary Lymph node dissection is performed for clinically palpable axillary lymphnodes or metastatic disease detected in sentinel lymph node biopsy.